All are manometric features of achalasia except:
1. High LES pressure
2. Decreased LES relaxation
3. Segmental body peristalsis
4. Manometry helps in diagnosis

Correct answer: 3. Segmental body peristalsis

Explanation: Ans. (c) Segmental body peristalsisRef: Sabiston 20th Edition, Pages 1015-1018Manometry findings in Achalasia:* LES will be hypertensive* LES fails to relax with deglutition* Body of esophagus has increased pressure* No evidence of progressive peristalsisLow amplitude wave forms